What is not associated with DIC
1. Thrombocytopenia
2. Increased PT
3. Hyperfibrinogenemia
4. Increased FDP

Correct answer: 3. Hyperfibrinogenemia

Explanation: Ans. is 'c' i.e., Hyperfibrinogenemia o DIC is associated with decreased plasma fibrinogen level.